In Jorgensen technique on IV sedation for dental procedure drugs used are
1. Pentobarbital
2. Mepiridine
3. Scopalamine
4. All the above

Correct answer: 4. All the above